Longest tooth of the maxillary arch is:
1. Permanent incisor
2. First premolar
3. Permanent canine
4. Deciduous incisor

Correct answer: 3. Permanent canine